Keratometer is used to assess.
1. Curvature of cornea
2. Diameter of cornea
3. Thickness of cornea
4. Curvature of lens

Correct answer: 1. Curvature of cornea

Explanation: It is an objective method. Keratometer is used for: Estimate corneal astigmatism Measure the curvature of the cornea Calculate the power of intraocular lens (IOL) Image: Keratometer